Nasolacrimal duct is directed:
1. Downwards, slightly outwards and backwards
2. Downwards, slightly inwards and backwards
3. Downwards, slightly outwards and forwards
4. Downwards, slightly inwards and forwards

Correct answer: 1. Downwards, slightly outwards and backwards

Explanation: Ans. Downwards, slightly outwards and backwards